Most common organism associated with reactive arthritis is -
1. Staphylococcus
2. Shigella
3. Chlamydia
4. Yersinia

Correct answer: 3. Chlamydia